A 45 year old patient presents with history of fever, night sweats and weight loss. On X-ray, a mass in apical lobe of lung is seen. On histopathology, it was found to have caseous necrosis. What is the likely underlying process involved -
1. Enzymatic degeneration
2. Hypersensitivity reaction with modified macrophages, lymphocytes and giant cells
3. Acute decrease in blood supply
4. Decreased supply of growth factors

Correct answer: 2. Hypersensitivity reaction with modified macrophages, lymphocytes and giant cells

Explanation: . Hypersensitivity reaction with modified macrophages, lymphocytes and giant cells